Type of surveillance included in integrated disease  control program for non-communicable disease is?
1. Sentinel surveillance
2. Regular Surveillance
3. Periodic regular survey
4. Additional state priority

Correct answer: 3. Periodic regular survey